Which of the following are Chemoreceptors?
1. Rods
2. Cones
3. Taste buds
4. Muscle spindle

Correct answer: 3. Taste buds

Explanation: Rods and cones are photoreceptors Taste buds are chemoreceptors Muscle spindle is a mechanoreceptor. Ref: Ganong's review of medical physiology; 23rd edition; pg:223.